The disorder associated with impulse to consume alcohol is called
1. Kleptomania
2. Dipsomania
3. Pyromania
4. Nymphomania

Correct answer: 2. Dipsomania

Explanation: Dipsomania: An irresistible desire for alcoholic drinks at periodic intervals. Kleptomania: An irresistible desire to steal articles of little value. Pyromania: An irresistible desire to set fire to things. Mutilomania: An irresistible desire to mutilate animals. Sexual impulses: Compulsive urge to perform sexual intercourse which may often be in a perverted way.